Hypoxia due to the slowing of circulation is seen in which anemia?
1. Anemic anemia
2. Histotoxic
3. Heart disease
4. Stagnant

Correct answer: 4. Stagnant

Explanation: (Refer: Ganong's Review of Medical physiology 24th edition, pg no: 649,653)